Which is risk factor for cholangiocarcinoma ?
1. Obesity
2. Primary sclerosing cholangitis
3. Salmonella carrier state
4. HBV infection

Correct answer: 2. Primary sclerosing cholangitis

Explanation: Ans. is 'b' i.e., Primary sclerosing cholangiocarcinoma Cholangiocarcinoma o Cholangiocarcinoma is malignancy of the biliary tree, arising from bile ducts within or outside the liver. o Risk factors : - (i) Primary sclerosing cholangitis (ii) Congenital fibropolycystic disease of the biliary system (caroli disease, choledochal cyst). (iii) Exposure to thorotrast. (iv) Opisthorchis sinensis infection. Pathology o Cholangiocarcinoma are adenocarcinoma arising from bile ducts epithelium. o Most are well to moderately differentiated. o Markdly desmoplastic, with dens collegenous stroma separating the glandular elements. o Cells are not bile stained, because bile is synthesized by hepatocytes and not by bile duct epithelium.